The Rotator cuff is composed of four of the following muscles except:
1. Teres minor
2. Supraspinatus
3. Infraspinatus
4. Teres major

Correct answer: 4. Teres major

Explanation: D i.e. Teres major * For rotator cuff muscles are - supraspinatus, infraspinatus, subscapularis and teres minor (not major)Q.* The tendon of rotator cuff muscles blend with the joint capsule and form a musculo tendinous collar that surrounds the posterior, superior, and anterior aspect of gleno- humeral joint.